Minimum depth for the lining of a sanitary well is
1. 5 meters
2. 6 meters
3. 7 meters
4. 8 meters

Correct answer: 2. 6 meters

Explanation: The lining of a sanitary well should go down at least 6 meters (20 feet) to ensure that water enters from the bottom and not from the sides of the well.The lining should extend upwards for about 60-90cm (2-3 feet) above the ground.Park 23rd edition pg: 709